The roof of the olfactory region is formed by ?
1. Nasal bone
2. Cribriform plate of ethmoid
3. Sphenoid
4. Temporal bone

Correct answer: 2. Cribriform plate of ethmoid

Explanation: Ans. is 'b' i.e., Cribriform plate of ethmoid The olfactory mucosa lines the upper one-third of nasal cavity including the roof formed by cribriform plate and the medial and lateral walls up to the level of superior concha (turbinate).